A HIV infected patient develops multibacillary leprosy. What is the recommended treatment?
1. No anti leprosy drug should be given
2. Rifampicin, dapsone and clofazimine
3. Rifampicin and dapsone
4. Rifampicin only

Correct answer: 2. Rifampicin, dapsone and clofazimine

Explanation: Multi drug therapy for leprosy is not contraindicated in HIV infection. WHO recommends the following drugs for treatment of multibacillary leprosy Rifampicin: 600 mg once monthly Dapsone: 100 mg daily Clofazimine: 300 mg once monthly supervised; and 50 mg daily, self administered. Ref: Park 21st edition, page 297.